Plantar reflex root value is
1. Afferent S1, Efferent L3, S1
2. Afferent S1, Efferent L5, S1
3. Afferent S2, Efferent L3, S1
4. Afferent S2, Efferent L5, S1

Correct answer: 2. Afferent S1, Efferent L5, S1

Explanation: (B) Afferent S1, Efferent L5, S1 # PATHWAYS FOR PLANTAR REFLEX:> Afferent: Nociception detected in the S1 dermatome and travels up the tibial nerve to the sciatic nerve to roots of L5, S1 and synapse in the anterior horn to elicit the motor response.> Efferent: Motor response back through the L5, S1 roots to the sciatic nerve to its bifurcation. Toe flexors are innervated by tibial nerve. Toe extensors (extensor hallicus longus, extensor digitorum longus) are innervated by the deep peroneal nerve. Loss of normal adult descending pyramidal control of the reflex arc to suppress extensor withdrawl results in the up-going toes in the plantar reflex known as Babinski's sign. There is no such thing as a negative Babinski's sign.> Causes of an extensor plantar response: Pyramidal tract lesions; Normal children up to one year of age; Deep sleep; Coma; General Anaesthesia; Postictal stage of epilepsy; Electroconvulsive therapy (ECT); Hypoglycaemia; Alchol intoxication; Narcosis; Hypnosis; Following severe physical exhaustion; Head trauma with concussion.> Root values of Reflexes: Biceps reflex (C5, C6) Brachioradialis reflex (C5, C6, C7) Extensor digitorum reflex (C6, C7) Triceps reflex (C6, C7, C8) Patellar reflex or knee-jerk reflex L2, L3, L4) Ankle jerk reflex (Achilles reflex) (S1, S2) Plantar reflex or Babinski reflex (L5, S1, S2)